Lesser curvature anterior seromyotomy is indicated in
1. Gastric ulcer
2. Gastric CA
3. Duodenal blowout
4. duodenal ulcer

Correct answer: 4. duodenal ulcer

Explanation: .Surgery for Uncomplicated DU * Highly Selective Vagotomy (HSV). * Selective vagotomy with pyloroplasty (SV + P). * Truncal vagotomy with gastrojejunostomy (TV + GJ). In HSV, only fibres supplying the parietal cells are ligated. The nerve of Latarjet which supplies the antrum pump is retained and so no drainage procedure is required in HSV. HSV is also called as parietal cell vagotomy or super selective vagotomy. Here nerve fibres in 6 cm of the stomach, just proximal to pylorus are preserved.(Crow's foot). Vagotomy reduces acid secretion, hence ulcer heals. No acid, No ulcer. * Posterior truncal vagotomy with anterior seromyotomy-- Taylor's operation. It can be done through laparoscopy. Note: Presently, there is no role of gastrectomy or gastrojejunostomy (Just GJ) for uncomplicated DU. Ref: SRB's manual of surgery,3 rd ed, pg no 760